A 30 year old male presented with ulcerative lesion on glans penis. Wright- Giemsa stain showed 1-2 rounded structure in macrophage vacuoles. What is the etiology
1. Chlamydia trachomatis
2. N. gonorrhoea
3. H. ducreyi
4. Calymatobacterium granulomatis

Correct answer: 4. Calymatobacterium granulomatis

Explanation: D i.e. Calymatobacterium granulomatis